Cervical spine protection is done under which step of ABCDE of trauma care?
1. A
2. B
3. C
4. D

Correct answer: 1. A

Explanation: Measures to ensure a patent airway should be instituted while protecting the cervical spine. Initially, the chin lift or jaw thrust maneuvres are recommended to achieve this task. A normal neurological examination should not exclude a cervical spine injury.
Protection of the cervical spine should be maintained throughout, either by stabilisation equipment or by a member of the trauma team, when it is required that the patient be moved or turned.